Type of collagen forming basement membrane of kidney-
1. I
2. II
3. III
4. IV

Correct answer: 4. IV

Explanation: Type IV collagen with laminin are the major constituent of basement membrane.